Digitalis toxicity aggrevated by:
1. Hypokalemia
2. Hyperkalemia
3. Hypocalcemia
4. Hypermagnesemia

Correct answer: 1. Hypokalemia

Explanation: (Hypokalemia): Ref: 1375 -H(1433-H17th)DIGITALIS INTOXICATION: - Serious and potentially fatal complication* Advanced age* Renal insufficiency* Acute MI* Hypokalemia* Hypomagnesemia* Hypoxemia* Hypercalcemia* The most frequent disturbance of cardiac rhythm are ventricular premature beats, bigeminy, ventricular tachycardia and rarely ventricular fibrillation.* AV block and nonparoxysmal atrial tachycardia with variable AV block are characteristic of digitalis intoxication.* The Dose of digitalis should be reduced by half in Quinidine, veropamil, amiodarone and propafenone